Which of the following statement regarding C-reactive protein is false?
1. It is increased in pneumococcal infection
2. It is an acute phase substance
3. The gene for the protein is on Chromosome 14
4. Can be raised after a surgery

Correct answer: 3. The gene for the protein is on Chromosome 14

Explanation: The gene for CRP is on chromosome 1. CRP is an abnormal protein which appear in blood in response to inflammatory cytokines such as IL 6. It is one of the most sensitive acute pahse reactant. It is elevated following severe trauma, bacterial infections, inflammation, surgery or neoplastic proliferation.